Ochsner-Sherren regimen is used for:
1. Appendicular abscess
2. Pelvic abscess
3. Appendicular mass
4. Acute appendicitis

Correct answer: 3. Appendicular mass

Explanation: Ans. C: Appendicular mass